Skin manifestation of T.B. – a) Lupus vulgarisb) Lupus pernioc) Scrofulodermad) Butcher warts
1. a
2. bc
3. ad
4. ac

Correct answer: 4. ac